True about primary angle closure glaucoma –a) More common in femalesb) Shallow anterior chamber is a risk factorc) Deep anterior chamber is a risk factord) Shorter diameter of cornea is a predisposing factore) Common in myopes
1. acd
2. abd
3. abc
4. ab

Correct answer: 2. abd

Explanation: PACG is more common in females.
Shallow anterior chamber, small diameter of cornea and hypermetropic eye (not myopia) are risk factors.